On electron microscopy, amyloid characteristically exhibits
1. Beta-pleated sheet
2. Hyaline globules
3. 7.5-10 nm fibrils
4. 20-25 nm fibrils

Correct answer: 3. 7.5-10 nm fibrils